All of the following regarding tetanus are true except:
1. Caused by Clostridium tetani
2. Spores are present in the soil
3. Produce tetanospasmin an endotoxin
4. Produces spasm of muscles

Correct answer: 3. Produce tetanospasmin an endotoxin

Explanation: Tetanus

Caused by Clostridium tetani
Spores are present in the soil
Thrives in dead or contaminated tissue
Produce tetanospasmin an exotoxin
Produces spasm of muscles
Make sure patients are immunised
For heavily contaminated wounds give anti-tetanus globulin

Key Concept:
Tetanospasmin is an exotoxin produced by C. tetani.